Injury to the median nerve occurs frequently when following artery is used for taking an ABG sample:
1. Radial artery
2. Brachial artery
3. External carotid artery
4. Femoral artery

Correct answer: 2. Brachial artery